Trabecular (conventional) outflow of aqueous humour accounts for:
1. 90 percent
2. 80 percent
3. 70 percent
4. 60 percent

Correct answer: 1. 90 percent

Explanation: Ans. 90 percent